USG can detect gestational sac earliest at-
1. 5 - 6 weeks
2. 7 - 8 weeks
3. 8 - 10 weeks
4. 10 - 12 weeks

Correct answer: 1. 5 - 6 weeks

Explanation: Ans. is 'a' i.e., 5-6 weeks [Ref: Sutton 7th/ep. 1041)o The gestational sac can be visualized as early as 41/2 weeks by transvaginal USG and 5 weeks by transabdominalUSG